All of the following statements hold true for melanoma of vulva except
1. It is the 2nd M/ C vulval cancer
2. M/C site is labia majora
3. May arise from junctional naevus
4. Has a poor prognosis

Correct answer: 2. M/C site is labia majora